Which of the following is long acting local anesthetic > 2hrs – a) Bupivacaineb) Prilocainec) Etidocained) Dibucainee) Tetracaine
1. bce
2. acde
3. abcd
4. abde

Correct answer: 2. acde

Explanation: Short duration (< 30 min) :- Chlorprocaine, procaine.
Moderate duration (30-90 min) :- Lignocaine, mepivacaine, Prilocaine, cocaine.
Long duration (> 120 min) :- Bupivacaine, levobupivacaine, Tetracaine, Etodicaine, Ropivacaine, Dibucaine.